Heliotrope rash seen in-
1. Pityriasis rosea
2. Secondary syphilis
3. Dermatomyositis
4. PMLE

Correct answer: 3. Dermatomyositis

Explanation: Ans. is 'c' i.e. Dermatomyositis * Heliotrope rash (violaceous erythema with edema over eyelids, periorbital region) is one of the characteristic features of dermatomyositis.